Bariatric surgery with maximum benefits and comorbidity reduction:-
1. Roux-en-Y gastric bypass
2. Laparoscopic sleeve gastrectomy
3. Biliopancreatic diversion
4. Laparoscopic adjustable gastric banding

Correct answer: 3. Biliopancreatic diversion

Explanation: BPD is the most durable method of weight loss and control of obesity related comorbidities, including GERD.